A 40 year old male is admitted with complaints of abdominal pain and headache. General physical examination revealed six scars on the abdomen from previous surgeries. He seems to maintain a sick role and seeks attention from the nurses. e demands multiple diagnostic tests including a liver biopsy. The treating team failed to diagnose any major physical illness in the patient. His mental status examination did not reveal any major psychopathology. One of the treating staff recognized him to have appeared in several other hospital with abdominal pain and some other vague complaints. He is most likely suffering from -
1. Schizophrenia
2. Malingering
3. Somatisation disorder
4. Factitious disorder

Correct answer: 4. Factitious disorder

Explanation: Information on this question:-


Somatic symptoms (abdominal pain, headache)
Multiple scars on the abdomen
Maintaining sick role and seeks medical attention by the nurse
Request for multiple investigations
Multiple hospital visits


Diagnosis is a factitious disorder (Munchausen syndrome).